Which one of the following features may not be seen in hypothyroidism?
1. Cold intolerance
2. Deafness
3. Pericardial effusion
4. Pretibial myxedema

Correct answer: 4. Pretibial myxedema

Explanation: (D) Pretibial myxoedema > Blood flow is diverted from the skin, producing the cool extremities.cold intolerance is seen. Pericardial effusions occur in up to 30% of patients but rarely compromise cardiac function. Increased dermal glycosaminoglycan content traps water, giving rise to skin thickening without pitting (myxedema). Typical features include a puffy face with edematous eyelids and nonpitting pretibial edema.> Impaired hearing is present, but not deafness.SIGNS AND SYMPTOMS OF HYPOTHYROIDISM (DESCENDING ORDER OF FREQUENCY)SymptomsSigns* Tiredness, weakness* Dry skin* Feeling cold* Hair loss* Difficulty concentrating and poor memory* Constipation* Weight gain with poor appetite* Dyspnea* Hoarse voice* Menorrhagia (later oligomenorrhea or amenorrhea)* Paresthesia* Impaired hearing* Dry coarse skin; cool peripheral extremities* Puffy face, hands, and feet (myxedema)* Diffuse alopecia* Bradycardia* Peripheral edema* Delayed tendon reflex relaxation* Carpal tunnel syndrome* Serous cavity effusions